Most common Cause of Acute Laryngotraheobronchitis is:
1. Parainfluenza virus
2. H. influenza
3. Influenza virus
4. Measles

Correct answer: 1. Parainfluenza virus

Explanation: Parainfluenza virus